Most common benign tumour of middle ear is:
1. Adeno carcinoma
2. Squamous cell carcinoma
3. Glomus tumour
4. Acoustic neuroma

Correct answer: 3. Glomus tumour

Explanation: (c) Glomus tumour(Ref. Cummings, 6th ed., 2738)Most common benign tumour of middle ear is glomus tumour.Acoustic neuroma is the most common benign tumour of the CP angle.Squamous cell carcinoma is the most common carcinoma of the middle ear.Adenocarcinoma is an occasional glandular tumour of the middle ear.